Neostigmine does not able to cross blood brain barrier because of its
1. Primary structure
2. Secondary structure
3. Tertiary structure
4. Quaternary structure

Correct answer: 4. Quaternary structure

Explanation: Refer kDT 6/e p 101 Quaternary ammonium compounds are water soluble and thus cannot cross blood brain barrier. New Stickman is a quarternary derivative whereas physostigmine is a tertiary amine